Test performed to compare weight of lung to body weight is ?
1. Ploucquet test
2. Fodere's test
3. Gettler's test
4. Raygat's test

Correct answer: 1. Ploucquet test

Explanation: Ans. is 'a' i.e., Ploucquet's Test Ploucquet's test : Weight of lung is measured in relation to body weight. Before birth weight of lung is 1/70 of body weight and after respiration it becomes 1/35 of body weight due to increased blood flow in lung beds.